Drug of choice of paroxysmal supraventricular tachycardia is ?
1. Adenosine
2. Digitalis
3. Procainamide
4. Mexiletine

Correct answer: 1. Adenosine

Explanation: Ans. is 'a' i.e., Adenosine Treatment of paroxysmal supraventricular tachycardia Valsalva maneuver, carotid sinus massage - RTT vagal discharge - AV node conduction & RTT refractoriness. Adenosine CCBs b-blockers Adenosine is prefered because of very short duration of action and lack of negative ionotropic effect. Prevention of PSVT - Drugs that slow conduction in the antegrade slow pathway, e.g. - Digitalis, P-blockers, CCBs.